All of the following are obligate coronary vasodilators except:
1. Nitroglycerine
2. Nitric oxide
3. Hypoxia and Hypercapnia
4. Acetylcholine

Correct answer: 4. Acetylcholine

Explanation: All are known to cause vasodilatation.
Only acetylcholine can also be a vasoconstrictor if the endothelium is dysfunctional or absent and nitric oxide can not be produced. In that case it is not an obligate vasodilator.